In a patient with UTI, CLED (Cysteine, Lactose Electrolyte Deficient) Media is preferred over Mac'conkeys media because:
1. It is a differential medium
2. It inhibits swarming of Proteus
3. Promotes growth of Pseudomonas
4. Promotes growth of staph aureus and Candida

Correct answer: 4. Promotes growth of staph aureus and Candida

Explanation: CLED is preferable to Mac Conkey's bile-salt lactose medium for the culture of coliform and other bacteria from infected urine. Like McConkey medium, it distinguishes between lactose-fermenting (yellow) and lactose non-fermenting (blue, grey or green) colonies, inhibits the swarming of proteus and shows the greenish colour, matt surface and rough periphery of pseudomonas colonies. However, it has the advantage of supporting the growth of certain staphylococci, streptococci and candidas that fail to grow on MacConkey. Ref: Practical Medical Microbiology by Mackie McCartney; 14th edition